Upshaw-schulman syndrome is:
1. Inherited thrombotic thrombocytopenic purpura
2. Acquired thrombotic thrombocytopenic purpura
3. Thrombotic thrombocytopenic purpura with anemia
4. Thrombotic thrombocytopenic purpura with bone marrow failure

Correct answer: 1. Inherited thrombotic thrombocytopenic purpura

Explanation: Upshaw-schulman syndrome is inherited thrombotic thrombocytopenic purpura. Ref: Harrisons principles of internal medicine, Edition -18, Page - 969.